Space between major and minor diameter is
1. Funnel shaped
2. Morning glory shaped
3. Hyperbolic
4. All of the above

Correct answer: 4. All of the above